Schaffer's sign is seen in -
1. Retinitis pigmentosa
2. Retinal detachment
3. CRVO
4. CRAO

Correct answer: 2. Retinal detachment

Explanation: Ans. is 'b' i.e., Retinal detachment o Tobacco dusting or Schaffer's sign. is seen in retinal detachment. Examination findings in retinal detachment o Following examinations are done : i) Ophthalmoscopy : Should be carried out both by direct and indirect ophthalmoscope. Retinal detachment is best examined by indirect ophthalmoscopy using scleral indentation. Freshly detached retina gives grey reflex instead of normal pink reflex, and is raised anteriorly. Retinal breaks (in Rhegmatogenous RD ) may be seen, mostly in the periphery (commonest in upper temporal quadrant). Vitreous show pigment in the anterior vitreous (tobacco dusting or Schaffer's sign.), with posterior vitreous detachment. ii) Perimetry (visual field charting) : Visual field defect corresponding to the area of detached retina, in) Goldmann three-mirror fundus lens and Indirect slit lamp biomicroscopy by high power lenses (commonly + 90 D or + 78D). Central fundus can be examined by 55D Hurby lens (e.g., for macular detachment). Electro-retinography : - Subnormal or absent. B-scan USG : - In patient with hazy media especially in the presence of dense cataract. Plane mirror examination : Altered red reflex in pupillary area.